Eltrombopag is a
1. Erythropoietin analogue
2. Erythropoietin receptor agonist
3. Thrombopoietin analogue
4. GMCSF analogue

Correct answer: 3. Thrombopoietin analogue

Explanation: Eltrombopag is a thrombopoietin analogue used in ITP, but carries the risk of hepatotoxicity.
Lustrombopag & Avatrombopag are other thrombopoietin analogues used to prevent bleeding in patients of liver disease.